Post-mortem caloricity is seen in -
1. Tetanus
2. Cholera
3. Strychnine Poisoning
4. All of the above

Correct answer: 4. All of the above

Explanation: Temperature of body remains raised for first two hours after death. Occurs in: a) When regulation of heat production has been disturbed before death. Sunstroke,nervous disorders. b) Great increase in heat production in muscles due to convulsions in tetanus, strychnine poisoning. c) Excessive bacterial activity in cholera. Dr.Narayana Reddys Synopsis of Forensic Medicine and Toxicology 27th edition pg. 76.